Fluoride content is more in which milk product?
1. Cheese
2. Butter
3. Toned milk
4. Butter milk

Correct answer: 1. Cheese